Most common type of Delusion associated with Schizophrenia is
1. Delusion of persecution
2. Delusion of grandiosity
3. Delusion of nihilism
4. Delusion of Reference

Correct answer: 1. Delusion of persecution

Explanation: (A) Delusion of persecution # Most common type of delusion associated with schizophrenia involves persecutory.> It believes that he/she is being followed or is under surveillance or that he/she is being made fun of,tricked,or treated very unfairly by others.> when schizophrenics experience this type of delusion,they may feel very frightened or paranoid,as a result they will often do things to protect themselves from prosecutor.